The management of thyrotoxic crisis includes all the following except-
1. Propanolol
2. Hydrocortisone
3. Oral I131
4. Propylthiouracil

Correct answer: 3. Oral I131

Explanation: Ans. is 'c' i.e., Oral I131